Schwable's ring is seen in which layer of cornea
1. Bowmann's membrane
2. Stroma
3. Descemet's membrane
4. Substantia propria

Correct answer: 3. Descemet's membrane

Explanation: Ans. is 'c' i.e., Descemet's membrane Histology of cornea The cornea has five distinct layers (from superficial to deep) : ? Epithelium : - It is the outermost part of cornea and is composed of stratified squamous non-keratinized epithelial cells. Bowman's membrane : - It is not a true membrane but simply a condensed superficial part of stroma. destroyed, it does not regenerate. Stroma (Substantia propria) : - This layer constitutes most of the cornea (90% of thickness). It consists of collagen fibrils (lamellae) embedded in hydrated matrix ofproteoglycans. Descemet's membrane : - This layer bounds the stroma posteriorly. In the periphery it appears to end at the anterior limit of trabecular meshwork as Schwahle's ring. Endothelium : - It is a single layer of flat polygnonal cells. The endothelial cells contain 'active-pump' mechanism and is the most important layer in maintaining the transparency of cornea.